Dohle bodies are seen in-
1. Multiple myeloma
2. May-Hegglin anomaly
3. Waldenstorm Macroglobulinemia
4. Lymphoma

Correct answer: 2. May-Hegglin anomaly

Explanation: Muir's Textbook of pathology, edited by J. R. Anderson, 12th edition Answer is option 2, May-Hegglin's anomaly Dohle bodies are intracytoplasmic inclusions seen in mature nuetrophils and are thought to be ribosome containing remnants of promyelocyte cytoplasm. They are seen in May Hegglins anomaly,which is an autosomal dominant disorder.